A pt. presents with hematuria of several days and dysmorphic RBC casts in urine. The site of origin is -
1. Kidney
2. Ureter
3. Bladder
4. Urethra

Correct answer: 1. Kidney